Most common cause of acute intestinal obstruction is
1. Small bowel adhesions
2. Intussusception
3. Tuberculosis
4. Malignancy

Correct answer: 1. Small bowel adhesions

Explanation: Intra-abdominal adhesions related to prior abdominal surgery account for up to 75% of the cases of small bowel obstruction. Intestinal Obstruction CausesIntraluminal (Eg. Foreign bodies, gallstones, or meconium)Intramural (Eg. Tumors, Crohn's disease - associated inflammatory strictures)Extrinsic (Eg. Adhesions, hernias, or carcinomatosis)Clinical Presentation :Colicky abdominal pain, nausea, vomiting, abdominal distension, and constipation are seen.Constipation is not seen in Richter's hernia obstruction, gallstone obstruction, mesenteric vascular occlusion.Vomiting is a more prominent symptom with proximal obstructions than distal.